In multibacillary leprosy, the follow-up examination after adequate Rx should be done early for -
1. 3 years
2. 5 years
3. 10 years
4. 2 years

Correct answer: 2. 5 years

Explanation: Multibacillary cases will be examined clinically at least once a year for a minimum period of 5 years after completion of therapy. Reference:Park's textbook of preventive and social medicine,K.Park,23rd edition,page no:326.